Decreased protein : lipid ratio is seen in:
1. Inner mitochondrial membrane
2. Outer mitochondrial membrane
3. Sarcoplasmic reticulum
4. Myelin sheath membrane

Correct answer: 4. Myelin sheath membrane

Explanation: Ans. (d) Myelin sheath membrane(Ref: Ganong, 25th ed/p.34)Proteins are the major constituents of cell membraneInner mitochondria membrane has maximum protein concentrationThe only exception where lipids outnumber proteins is Myelin sheath of nerve cell membrane